Infedelity & jealousy involving spouse is the thought content of which disorder:
1. Capgras syndrome
2. Othello syndrome
3. Hypochondrial paranomia
4. Declerambault's syndrome

Correct answer: 2. Othello syndrome

Explanation: B i.e. Othello syndromeIt is characterized by nonbizzare delusion of atleast one month duration with overall well preserved personality (except in the area of delusion) and absence of significant hallucinations.